About lateral pterygoid muscle which of the following statement is true -a) Protude mandibleb) Arise from infra temporal fossa & lateral pterygoid platec) Bipolar headd) Supplied by facial nervee) Inserted into fovea of mandible
1. abce
2. abcd
3. acde
4. abde

Correct answer: 1. abce

Explanation: Lateral pterygoid (LP) 
Origin

Upper small head : From roof of infratemporal fossa and infratemporal crest of greater wing of sphenoid.
Lower larger head : Lateral surface of lateral pterygoid plate of sphenoid bone.

 
Insertion

Pterygoid fovea on anterior swface. of neck of mandible.
Capsule of temporomandibular joint and anterior and medial borders of its articular disc (some upper head

fibers).
 
Nerve supply

Nerve to lateral pterygoid (one for each head) arise from anterior trunk of mandibular nerve.
Upper and lateral part of lower head receive it form buccal nerve whereas medial part of lower head directly

from anterior trunk of mandibular nerve.
 
Action

When left and right muscles contract together the condyle and disc is pulled forward and slightly downward from mandibular fossa. This protusion is indispensable to active mouth opening (old).
In clenching of jaw it prevents condyle and disc from pulling back (new concept).
Jaw pulled medially to opposite side (in unilateral contraction).